Maggots in the nose are best treated by:
1. Chloroform diluted with water
2. Liquid paraffin
3. Systemic antibiotics
4. Lignocaine spray

Correct answer: 1. Chloroform diluted with water

Explanation: Chloroform water or vapour must be instilled in order to anesthetize or kil the maggots and so release their grip from the skin. Ref.Dhingra 6/e p 162.